All the drugs are used in acute anterior uveitis except ?
1. Pilocorpine
2. Atropine
3. Timolol
4. Steroids

Correct answer: 1. Pilocorpine

Explanation: Treatment of anterior uveitis : 1) Topical steroids are the Drug of choice Side effect: - Topical steroids - Glaucoma - Systemic steroids - Cataract Topical steroids : - Betamethasone - Dexamethasone - most commonly used, causes significant IOP rise and hence glaucoma(after difluprednate) - Prednisolone - Fluorometholone, Loteprednol - cause minimum glaucoma(hence called soft steroids) - Difluprednate - lower frequency of dosing butmaximum propensity to cause glaucoma 2) Cycloplegics - Atropine - 14 days action (most potent) - Homatropine - 3 days action - Cyclopentolate - 1 day action - Tropicamide - 6 hrs action ( least potent) - Cycloplegics are used to reduce pain by relaxes ciliary spasm. - Timolol eye drops are used to manage secondary intraocular pressure rise (secondary glaucoma) in a case of uveitis - Pilocarpine causes increased vascular leakage and can worsen symptoms of uveitis. Hence Pilocarpine use for other indications may mimic anterior uveitis